Eukaryotes are different in causing infection because-
1. Divide by biniary fission
2. Highly structured cell with organized cell organelles
3. Don’t have all organelles
4. Ecolutionally ancient

Correct answer: 2. Highly structured cell with organized cell organelles

Explanation: Prokaryotesand Eukaryotes
 
All cells fall into one of the two major classification-1)Prokaryotes or 2) Eukaryotes
 
1. Prokaryotes

Prokaryotes are evolutionally ancient, i.e. they arc first living organisms to evolve,
They were here first and for billions of years were the only form of life.
Prokaryotic cells are not carrying of life processes by themselves. The reason is that they don V have alt the organelles (e.g. nucleus, mitochondria, golgi apparatus etc.) required to carry out life processes. So, these cells are dependent on other cells in order to form what is necessary for the life processes.
Prokaryotes divide by binary fission.
Prokaryotes are always single celled except when they exist in colonics.
Examples- bacteria (including chlamydia & mycoplasma). Blue green algaeu, Archea

2. Eukarvotes

Eukaryotes are more complex, evolving from a prokaryote like precdecessor.
Eukaryotic cells contain all the organelles required to earn out the processes oflife.
Eukaryotes may be single celled or multicelled.
The most noticable feature that differentiates eukaryotes from prokaryotes is the presence of nucleus.
Examples-Fungi, Algae other than blue green algae, protozoa.